A young man with pulmonary tuberculosis presents with massive recurrent hemoptysis. For angiographic treatment, which vascular structure should be evaluated first:
1. Pulmonary artery
2. Bronchial artery
3. Pulmonary vein
4. Superior vena cava

Correct answer: 2. Bronchial artery

Explanation: B i.e. Bronchial artery In 95% of cases of massive recurrent hemoptysis, the source of blood are systemic bronchial arteryQ rather than pulmonaryartery; So these are the vascular structures which should be evaluated first. Type of Bleeding Source - Hemoptysis - Bronchial arteryQ - Epidural hemorrhage - Middle meningeal arteryQ - Subdural hemorrhage - Bridging veinsQ - Sub arachnoid hemorrhage - Berry saccular aneurysmQ - Intracerebral hemorrhage - Infra parenchymal vessels - Menstruation - Spiral arteriesQ - Epitaxis - Plexus of vein (M.C.) & sphenopalatine artery